Premature baby at 34wk was delivered & had bullous lesion on body. X ray shows periostitis next investigation is
1. ELISA for HIV
2. PCR for TB
3. VDRL for mother & baby
4. HbsAg for mother

Correct answer: 3. VDRL for mother & baby

Explanation: The above mentioned history is suggestive of Congenital Syphilis.So we will do VDRL of both mother and baby to confirm. Early Congenital syphilis Late Congenital syphilis appearing 2-6 weeks after birth untreated after 2 years of age Rhinitis, or "snuffles" Mucocutaneous lesions Bone changes :Osteochondritis, osteitis, and periostitis detectable by x-ray Long bones Hepatosplenomegaly, lymphadenopathy , Anemia, jaundice , Thrombocytopenia; and leukocytosis. Interstitial keratitis (occurs at 5-25 years of age), Eighth-nerve deafness, Recurrent arthropathy. B/L knee effusions - Clutton's joints. Gummatous periostitis occurs at 5-20 years of age. Classic stigmata -Hutchinson's teeth, "Mulberry" molars , Saddle nose and Saber shins.